Kala azar is transmitted by
1. Phlebotomous papatasii
2. Phlebotomous sergenti
3. Phlebotomous argentipes
4. Phlebotomous punjabensis

Correct answer: 3. Phlebotomous argentipes